A three day-old term infant borne at home, breast-fed exclusively, presented with lethargy, bulging fontanel, and bright red blood from rectum. What is the most likely etiology of his disease?
1. Fluoride deficiency.
2. Ca deficiency.
3. Vitamin K deficiency.
4. Iron Deficiency

Correct answer: 3. Vitamin K deficiency.

Explanation: Vit K deficiency is associated with hemorrhagic disease of newborn which has manifested in this baby as Intracranial hemorrhage (bulging fontanel) and GI bleed (blood per rectum). Moreover home delivery (Vit K may not have been given at birth) and exclusive breast feeding (Vit K is deficient in breast milk) clearly point to Vit K deficiency as etiology.